Which is not an 'Assisted Reproductive Technique' :-
1. GIFT
2. ZIFT
3. IVF
4. Intra-Uterine Insemination

Correct answer: 4. Intra-Uterine Insemination

Explanation: Assisted Reproductive Technology (ART) comprises of a group of procedures done for treatment of infertility that have in common the handling of male and female gametes outside the body. All these procedures involve surgical removal of eggs known as egg retrieval. Assisted Reproductive Techniques A. GIFT - Gametes Intra Fallopian Transfer. This involves egg retrieval and laparoscopic transfer of ova and sperms into each fallopian tube B. ZIFT - Zygote Intrafallopian Transfer (ZIFT). This involves transfer of day 1 feilised eggs (zygotes) into the fallopian tube C. IVF - In Vitro Fertilisation. This involves egg retrieval, in vitro fertilisation of oocyte and sperm followed by transfer of selected feilised oocytes transcervically into uterine cavity. D. ICSI --> Involves direct injection of sperm into mature egg followed by intra uterine transfer of feilised egg NOTE: Intrauterine Insemination (IUI) does not involve oocyte retrieval, only intrauterine insemination of washed semen is done and is hence not an assisted reproductive technique.